Phagocytosis in the CNS is done by
1. Astrocytes
2. Schwann cells
3. microglia
4. Oligocytes

Correct answer: 3. microglia

Explanation: Microglia in CNS has phagocytic activity.